Heavy user of LSD is called as
1. Acid head
2. Guide
3. Main liner
4. Tripper

Correct answer: 1. Acid head

Explanation: Acid head - Heavy user of LSD Guide - a person who babysits for a psychedelic user during a session. Mainlining: injecting drug into IV. A common pattern of LSD use is trip (occasional use followed by a long period of abstinence). But Not Tripper.